Malignant otitis externa affects which Cranial nerve:
1. 7th
2. 8th
3. 9th
4. 10

Correct answer: 1. 7th

Explanation: Ans. (a) 7thRef: Dhingra's ENT 6th edJ 52-53* Malignant otitis externa is an inflammatory condition caused by pseudomonas infection usually in elderly diabetic & those on immune-compromised drugs.* Facial nerve paralysis is common.